Polyhydramnios is seen in all except:
1. Diabetes me1litus
2. Anencephaly
3. Trachea- esophageal fistula
4. Renal agenesis

Correct answer: 4. Renal agenesis

Explanation: Ans: D (Renal agenesis) Ref: Ian Donald: Practical Obstetric Problems 6th ed. Pg 366, D.C.Dutta's Textbook of Obstetrics, 7th ed. pg. 211,215.Explanation:The main source for amniotic fluid is fetal urine.So, when there are no kidneys, there is no urine.So, it results in oligohydramnios.Hence. D (Renal agenesis) is the answer.Causes for HydramniosFetal malformationsCNS defects -AnencephalySpina bifidaHydrocephalus Cardiac defectsVSDASDPulmonary stenosisCraniofacialCleft lipCleft palateChoanal atresiaThoraxDiaphragmatic herniaGastrointestinalOesophageal atresiaTracheo-esophageal fistulaMaternal causesDiabetesMultiple pregnancy.